True about the teratogenicity of a drug is all except:
1. Characteristic set of malformations indicating selectivity for certain target organs is seen
2. Heparin is highly teratogenic drug
3. Related to the dose of the teratogenic drug
4. Affects specifically at a particular phase of development of the fetus

Correct answer: 2. Heparin is highly teratogenic drug

Explanation: Teratogenjcity is the development of characteristic set of malformations by the use of a drug during pregnancy. Different drugs have specificity for a particular phase of development of fetus. The risk of teratogenesis is dose dependent. Heparin cannot cross the placenta and is thus safe during pregnancy.